Bacillus Anthrax is:
1. Gram positive cocci in cluster
2. Gram positive rods with square ends
3. Gram positive bacili with spherical ends
4. Gram negative cocci in cluster

Correct answer: 2. Gram positive rods with square ends

Explanation: Gram Positive bacilli Bacillus Anthrax. Gram positive rods with square ends ( non bulging spore) (bulging spore seen in cl. tetani) GPB, Non Motile, capsulated. Mc fadyeans reaction M - Mc'fadyean reaction Medusa Head appearance I - Inverted fir tree appearance S - String of pearl reaction Bamboo - Bamboo stick appearance ( on Gram stain)